Best management of urethral structure which measures about 2 cm in length is
1. Internal optical urethrotomy
2. Substitution  urethrotomy
3. End to end urethroplasty
4. None of the above

Correct answer: 3. End to end urethroplasty

Explanation: Management of Urethral structure :

< 1.5 cm ⇒ Internal optical  urethrotomy (structure divided at 12 O clock position).
1.5 - 3 cm ⇒ End to end urethroplasty.
> 3 cm ⇒ Substitution urethroplasty.